Which one off the following is NOT a feature of Turner\'s syndrome –
1. Short stature
2. Intellectual disability
3. Coarctation of aorta
4. Lymphedema

Correct answer: 2. Intellectual disability